III nerve palsy with pupillary sparing is seen in -
1. Craniopharyngioma
2. Hypotension
3. Aneurysm of post, communicating artery
4. DM

Correct answer: 4. DM

Explanation: Pupil-sparing oculomotor nerve palsy is often assumed to be caused by ischemic injury such as hypertension and diabetes mellitus. Sometimes compressive lesion can cause pupil-sparing oculomotor nerve palsy with a short interval from the onset of symptoms to diagnosis.